In extra amniotic 2nd trimester medicolegal termination of pregnancy, which of the following is used:a)  Ethacrydine Lactateb) Prostaglandinc) Hypertonic salined) Glucose
1. ac
2. ab
3. ad
4. bc

Correct answer: 2. ab

Explanation: Methods of Medical Termination of Pregnancy
First Trimester (Up to 12 Weeks)
Medical

Mifepristone
Mifepristone and Misoprostol (PGE1)
Methotrexate and Misoprostol
Tamoxifen and Misoprostol

Surgical

Menstrual regulation
Vacuum Aspiration (MVA/EVA)
Suction evacuation and/or curettage
Dilatation and evacuation:
Rapid method
Slow method

Second Trimester (13–20 Weeks)

Prostaglandins PGE1 (Misoprostol), 15 methyl PGF2a (Carboprost), PGE2 (Dinprostone) and their analogues (used-intravaginally, intramuscularly or intra-amniotically)
Dilation and evacuation (13–15 weeks)
Intrauterine instillation of hyperosmotic solutions
Intra-amniotic hypertonic urea (40%), saline (20%)
Extra-amniotic—Ethacrydine lactate, Prostaglandins (PGE2, PGF2a)
Oxytocin infusion high dose used along with either of the above two methods
Hysterotomy (abdominal)— less commonly done